Which Lung Cancer resembles Pneumonia with Air Bronchogram sign?
1. Squamous Cell Ca
2. Large Cell CA
3. Small Cell Ca
4. Bronchoalveolar CA

Correct answer: 4. Bronchoalveolar CA

Explanation: *Bronchoalveolar carcinoma resembles pneumonia on a chest x ray *Has Aerogenous spread,along the bronchial wall called Lepidic growth *CT angiogram sign is also seen in Bronchoalveolar Ca